Alpha-methyldopa is primarily used for
1. Pregnancy induced hypertension
2. Renovascular hypertension
3. First line agent in hypertension
4. Refractory hypertension

Correct answer: 1. Pregnancy induced hypertension

Explanation: They act on central alpha 2a receptors to decrease efferent sympathetic activity. It decreases t.p.r more than H.R or C.O It is infrequently used now. (Ref: Essentials of medical pharmacology, K.D Tripathi, 7th edition, page 566)